A 24-year-old man, occasional drinker, has got a change in his behaviour. He has become suspicious that people are trying to conspire against him though his father states that there is no reason for his fears. He is getting hallucinations of voices commenting on his actions. What is the most probable diagnosis?
1. Schizophrenia
2. Delirium tremens
3. Delusional disorder
4. Alcohol induced psychosis

Correct answer: 1. Schizophrenia

Explanation: The symptoms of the patient: Change in behaviour Delusion of persecution Third person hallucination (Auditory) Marked change in personality They all point towards the diagnosis of schizophrenia. Alcoholic psychosis or Korsakoff's psychosis presents with Amnesia and Confabulation, pt. is not having both the symptoms. Delirium tremens is an alcoholic withdrawal syndrome seen in chronic alcoholics with clinical findings of confusion, disorientation & hallucination. The pt. does not give any history of Alcohol withdrawal & he is an occasional Alcoholic. In Delusion hallucinations are not prominent. There is no behavior change.